Minimum age to give consent for organ donation for therapeutic purposes:
1. 12 years
2. 18 years
3. 21 years
4. No such law in action

Correct answer: 2. 18 years

Explanation: Ans. 18 years